Which is the most common benign cardiac rhythm?
1. Atrial premature contraction
2. Atrial fibrillation
3. Ventricular premature contraction
4. Ventricular tachycardia

Correct answer: 1. Atrial premature contraction

Explanation: Atrial premature contraction mc benign rhythm during extended ECG monitoring. Asymptomatic, although some patients experience palpitations or an irregularity of the pulse. ECG -Identification of P wave that occurs before the anticipated sinus beat.